Earliest radiological finding of chron's disease
1. Coable stone appearance
2. Raspberry appearance
3. Aphthous lesions
4. String sign of kantor

Correct answer: 3. Aphthous lesions

Explanation: Earliest change are aphthous lesions or erosions.